Crippling fluorosis occurs at what level ?
1. 0.5-0.8 mg/litre
2. 1.5 mg/litre
3. 3-6 mg/litre
4. > 10 mg/litre

Correct answer: 4. > 10 mg/litre

Explanation: Ans. is 'd' i.e., 10 mg/liter Crippling fluorosis This occurs at fluoride level > 10 mg/litre (PPM). Patient is crippled and bed ridden.